Pseudo dementia is seen in:
1. Alcoholism
2. Depression
3. Schizophrenia
4. Mania

Correct answer: 2. Depression

Explanation: B i.e. Depression Pseudo-Dementia (Depression related cognitive dys functions) is found in depressionQ. They have past h/o depression. Have more insight into their symptoms - i.e. themselves complaints of memory impairment, difficulty in sustaining attention & concentration; & reduced intellectual capacity. In contrast, a patient of dementia does not c/o these disturbance.